Marble bone disease is better known as?
1. Osteoporosis
2. Osteochondritis
3. Osteopetrosis
4. Osteogenesis imperfecta

Correct answer: 3. Osteopetrosis

Explanation: ANSWER: (C) OsteopetrosisREF: Bone diseases: macroscopic, histological, and radiological diagnosis By Claus-Peter Adler- Page 54Osteopetrosis, literally "stone bone", also known as marble bone disease and Albers-Schonbergdisease is an extremely rare inherited disorder whereby the bones harden, becoming denser due to increased calcified bone tissue, namely osteosclerosis.